Duane syndrome involves
1. Superior oblique
2. Inferior oblique
3. Lateral rectus
4. Superior rectus

Correct answer: 3. Lateral rectus

Explanation: (Refer: AK Khurana Comprehensive Ophthalmology, 6th edition, pg no. 357) Duane retraction syndrome represents the most frequent and most prominent congenital cranial dysinnervation disorder (CCDD)It is due to fibrosis of the lateral rectus or an innervational anomaly with Co-contraction of the lateral and medial rectiThere is a deficiency of abduction, associated with impaired adduction, contraction of palpebral fissure and oblique movements of the eye